Treatment of choice for endocervical polyp is
1. Vaginal hysterectomy
2. Conisation
3. Polypectomy
4. Radiotherapy

Correct answer: 3. Polypectomy

Explanation: Polyp is categorized and defined by ultrasound, saline sonography, hysteroscopy with or without histopathology It is treated by polypectomy Ref: Shaw Gynecology 17 e pg 132.